Clinical scenario with bag of worms
1. Varicocele
2. Hydrocele
3. Torsion of testis
4. Congenital hernia

Correct answer: 1. Varicocele

Explanation: Answer- A. VaricoceleA varicocele is a varicose (tortuous) dilatation of the vein draining the testis.C/FOn palpation, testicules may feels like a bag of wormsvaricocele is painless and the only complaint of the patient is swelling.